Following is the etiological agent of Rocky Mountain spotted fever:
1. R. rickettsia
2. Rochalimae quintana
3. R. tsutsugamushi
4. Coxiella burnetti

Correct answer: 1. R. rickettsia

Explanation: Ans. is 'a' i.e., R. rickettsiaRef: Harrison, 19th/e, p. 1154; Ananthanarayan, 9th/e, p. 405)Rocky Mountain spotted fever is a bacterial infection transmitted by a tick. Serious damage to organs such as your kidneys and heart. Severe headache, high fever are important findings. A few days later, a rash usually appears on the wrists and ankles.